In G-6PD deficient patient haemolysis is due to decrease in
1. H+
2. TPP
3. NADH
4. NADPH

Correct answer: 4. NADPH

Explanation: Ans. is 'd' i.e. NADPH Glucose-6-POd dehydrogenase (G6PD) deficiencyis an X-linked recessive disorder* that causes episodic hemolytic anemia because of decreased ability of RBCs to deal with oxidative stresses.G6PD is the first and the rate limiting enzyme of the hexose monophosphate shunt (HMP shunt) which is responsible for the production of NADPH in the cells.NADPH acts as a cofactor for glutathione reductase that generates reduced form of glutathione.Reduced glutathione is a potent antioxidant and detoxifies hydrogen peroxide and other oxidants.In the absence of reduced glutathione, haemoglobin may become oxidized.Oxidized haemoglobin denatures and forms precipitants called Heinz bodies*. These Heinz bodies cause membrane damage, which leads to removal of these cells by the spleen and hemolyzed (Hemolytic anemia).